The side effect of corneal microdeposits is seen most commonly, with which of the following drugs?
1. Esmolol
2. Amiodarone
3. Adenosine
4. Bretylium

Correct answer: 2. Amiodarone